WHich of the following proton pump inhibitor has enzyme inhibitory activity?
1. Rabeprazole
2. Lansoprazole
3. Pantoprazole
4. Omeprazole

Correct answer: 4. Omeprazole

Explanation: Omeprazole and esomoprazole are microsomal anzymes inhibitors .these may decrease the metabolism of diazepam. Lansoprazole enhances the metabolism of theophyllin .(katzung 11/e p1075)